Dose limiting toxicity of amphotericin B is:
1. Infusion related reaction
2. Renal tubular acidosis
3. Myelosuppression
4. Hypotension

Correct answer: 2. Renal tubular acidosis

Explanation: Renal tubular acidosis is the dose limiting toxicity of amphotericin B. Amphotericin B can also cause: Infusion related reactions (not dose related) Hypokalemia Hypomagnesemia